Which of the following is the most common feature of Aortitis on chest X-ray –
1. Calcification of ascending aorta
2. Calcification of descending aorta
3. Calcification of pulmonary artery
4. Focal oligemia

Correct answer: 1. Calcification of ascending aorta

Explanation: The ascending aorta is a common site for calcification in aortitis, especially in syphilitic aortitis.